Fourth aortic arch in left gives rise to:
1. Subclavian artery
2. Arch of aorta
3. Maxillary artery
4. None of the above

Correct answer: 2. Arch of aorta

Explanation: Arch of aorta